Nephrotoxic anaesthetic agent is :
1. Halothane
2. Isoflurane
3. Methoxyflurane
4. Nitrous Oxide

Correct answer: 3. Methoxyflurane

Explanation: Ans. is 'c' Methoxyflurane Methoxyflurane has the highest fluoride content so it is highly NephrotoxicThere is high output renal failure and high chances of Oxalate stone.